Kaposi's varicelliform eruption seen in :
1. Darrier disease
2. Varicella zoster
3. Pityriasis rosea
4. All

Correct answer: 1. Darrier disease

Explanation: > A i.e. Darrier disease